To differentiate restrictive cardiomypathy and constrictive pericarditis, features favouring constrictive pericarditis are-
1. Diastolic pressures are not equalised
2. There is mild pericardial effusion
3. Associated with septal hypertrophy
4. Thick pericardium is present

Correct answer: 4. Thick pericardium is present

Explanation: Ref: Harrison's 19th E pg 1573 Table 288-2. Thickened pericardium seen in constrictive pericarditis. Because constrictive pericarditis can be corrected surgically, it is important to distinguish chronic constrictive pericarditis from restrictive cardiomyopathy, which has a similar physiologic abnormality (i.e., restriction of ventricular filling).